The 4 A's of schizophrenia given by Blueler includes all the following except
1. Ambivalence
2. Affect disturbance
3. Association disturbance
4. Auditory hallucination

Correct answer: 4. Auditory hallucination

Explanation: Autism is one more A given by blueler not auditory hallucination. Auditory hallucination is commonly seen in schizophrenia but not included in 4A's Ref: Essentials of postgraduate psychiatry By JN vyas 1st ed Pg: 365